A patient with nephrotic syndrome on longstanding coico-stroid therapy may develop all the following except -
1. Hyperglycemia
2. Hypehrophy of muscle
3. Neuropsychiatric symptoms
4. Suppression of Hypothalemic pituitary adrenal axis

Correct answer: 2. Hypehrophy of muscle

Explanation: takingoral corticosteroids longer term, you may experience: Clouding of the lens in one or both eyes (cataracts) High blood sugar, which can trigger or worsen diabetes,neuropsychosis symptoms, suppression hypothalamic neuropitutary axis Increased risk of infections, especially with common bacterial, viral and fungal microorganisms. Ref Harrison20th edition pg 267